PEGLOTICASE IS USED FOR TREATMENT ?
1. CPPD
2. REFRACTORY RHEUMATOID ARTHRITIS
3. CHRONIC TOPHACEOUS GOUT
4. ANKYLOSING SPONDYLOSIS

Correct answer: 3. CHRONIC TOPHACEOUS GOUT

Explanation: PEGLOTICASE = IS A RECOMINANT URICASE 3RD LINE AGENT ,GIVEN IV INFUSION EVERY 2WKS C/I - IN G6PD DEFFICIENCY , METHYLHEAMOGLOBINEMIA REF: KD TRIPATHI 8TH ED